"MONICA Project" is associated with:
1. Risk factor intervention trials for CVD
2. Oslow diet/smoking intervention study
3. Monitoring of trends and determinants in cardiovascular disease
4. Lipid research clinics study

Correct answer: 3. Monitoring of trends and determinants in cardiovascular disease

Explanation: To look out for the reasons behind the changing trends of Cardiovascular disease worldwide , WHO started project named MONICA ( Monitoring of trends and determinants in Cardiovasculardisease). Population centres need to be large and numerous; to reliably establish 10-year trends in event rates. Forty-one MONICA Collaborating Centres, using a standardized protocol, are studying 118 Reporting Units (subpopulations) with a total population aged 25-64 (both sexes) of about 15 million.